30 year male with chronic diarrhoea, anemis, raised liver enzymes. Most likely associated with-
1. Antimitochondrial antibody
2. Anti-endomysial antibody
3. Anti-smooth muscle antibody
4. Antinuclear antibody

Correct answer: 2. Anti-endomysial antibody

Explanation: IgA anti-endomysial antibodies are found in 90% coeliac patients. They are a very specific & sensitive marker for coeliac disease and dermatitis herpetiformis. The anti-endomysial antibody test has been suggested to be 98% sensitive and 98% specific for clinical or subclinical coeliac disease Ref Davidson edition23rd pg 805